Microabrasion techniques for elimination of discoloration of teeth work by:
1. Removing surface enamel
2. Bleaching stains
3. Bleaching developmental defects
4. All of the above

Correct answer: 1. Removing surface enamel

Explanation: Surface discolorations because of fluorosis can also be removed by microabrasion, if the discoloration is within 0.2 to 0.3 mm removal depth limit.
In 1984, McCloskey reported the use of 18% HCI swabbed on teeth for the removal of superficial fluorosis stains. 
Subsequently, in 1986, Croll modified the technique to include the use of pumice with the HCl to form a paste applied with a tongue blade.